Probiotics have been found beneficial for use in:
1. Necrotizing enterocolitis
2. Neonatal sepsis
3. Candidiasis
4. Intestinal perforation

Correct answer: 1. Necrotizing enterocolitis

Explanation: Prophylactic administration of oral probiotics given to preterm infants reduces the incidence and severity of Necrotizing Enterocolitis'. Ref: Nelson 18th Edition, Page 1618